Obligatory intracellular organism is -
1. Mycoplasma
2. Chlamydae
3. Cryptococcus
4. H.pylori

Correct answer: 2. Chlamydae

Explanation: Obligatory intracellular organism: they are those organisms who cannot multiply or reproduce outside the host cell but require the resources of the host cell to synthesis enzymes and multiply or reproduce chlamydia is an obligate intracellular bacterial parasite of humans animals and birds with tropism for squamous epithelial cells and macrophages of the respiratory and gastrointestinal tract Ref: Ananthanarayan & paniker's Textbook of Microbiology edition pg no:415